Albinism is due to deficiency of the following enzyme?
1. Phenylalanine hydroxylase
2. Homogentisic acid oxidase
3. Tyrosinase
4. Decarboxylase

Correct answer: 3. Tyrosinase

Explanation: The most common cause of albinism is a defect in tyrosinase, the enzyme most responsible for the synthesis of melanin. Albinism is an inborn error due to lack of synthesis of melanin. It is an autosomal recessive disorder with a frequency of 1 in 20,000. Ref: Textbook of Biochemistry and Human Biology by G. P. Talwar, 3rd Ed, Page 452